The most important indication for surgical repair of a Bicornuate Uterus is -
1. Infertility
2. Dysmenorrhoea
3. Menorrhagia
4. Recurrent abortions

Correct answer: 4. Recurrent abortions

Explanation: The most important indication for surgical repair of a Bicornuate Uterus is Recurrent abortions Recurrent abortions occur due to - Decreased space for embryo to grow and Relatively less blood supply